The commonest benign intramural tumor of the esophagus is -
1. Fibroma
2. Leiomyoma
3. Angioma
4. Lipoma

Correct answer: 2. Leiomyoma

Explanation: Leiomyoma is the most common benign neoplasma of esophagus and accounts for two-third of all the benign neoplasms.
They usually arise as intramural growth, most commonly along the distal two-third of the esophagus.